Equilibrium potential for chlorine:
1. -70
2. 60
3. Both
4. None

Correct answer: 1. -70

Explanation: Equilibrium potential is also called isoelectric At this potential there is no movement of ions Equilibrium potential for chlorine in -70